Hyaline membrane disease is associated with:
1. Respiratory distress syndrome
2. Bronchopulmonary dysplasia
3. Sudden infant death syndrome
4. Bronchiolitis obliterans

Correct answer: 1. Respiratory distress syndrome

Explanation: (Respiratory distress syndrome): Ref: 470-HM, 48J-83-R (257- Basic pathology 8th)* The fundamental defect in RDS is a deficiency of pulmonary surfactant* Surfactant synthesis is modulated by a variety of hormones and growth factors, including cortisol, insulin, prolactin, thyroxin, and TGF b45. The role of glucocorticoid is particularly important* Increased risk for developing complications are1. Patent ductus arteriosus2. Intraventricular hemorrhage3. Necrotizing enterocolities